Which of the following appears hyperdense on CT?
1. Air
2. Water
3. Fat
4. Acute bleed

Correct answer: 4. Acute bleed

Explanation: Acute Bleed is Hyperdense on CT as it have +70 HU Cortical Bone +400 to +1000 Calcifications +200 to +250 Contrast agents +130 Hurt Acute Bleed +60 to +70 Hurt CSF/Water 0 Fat - 50 to -100 Hurt AIR -1000 Hurt Acute ICH in right frontal lobe.